All of the following statements about the splenic artery are true except that it -
1. Has a tortuous course
2. Is a branch of the celiac trunk
3. Has branches that anastomose freely within the spleen
4. Supplies the greater curvature of stomach

Correct answer: 3. Has branches that anastomose freely within the spleen

Explanation: Splenic artery is the largest branch of celiac trunk, with a tortuous course to allow for movement of the spleen. It supplies body and tail of pancreas via pancreatic branches; stomach via short gastric and left gastroepiploic branches, and spleen via non anastomosing straight vessels called penicillin ellipsoids and arterial capillaries.